Child presents with Pathological fracture, Renal stone and Psychiatric symptoms. Most probable diagnosis is?
1. Renal tubular acidosis
2. Hyperparathyroidism
3. Polycystic kidney disease
4. CRF

Correct answer: 2. Hyperparathyroidism

Explanation: Ans. (b) HyperparathyroidismRenal Tubular acidosisRTA 1 can present with Nephrocalcinosis and renal rickets but pathological fractures and psychiatric symptoms are not seenHyperpar- athyroidismThe increased bone resorption explains pathological fracture. Hypercalcemia leads to deposition of calcium in the kidney parenchyma. Psychiatric symptoms are seen in hyperparathyroidism.Polycystic kidneysPresents with CRF with cystic kidneysCRFCan have pathological fracture due toOsteitis Cystica Fibrosa due to secondaryHyperparathyroidism.